IOC for subarachnoid hemorrhage:
1. MRI
2. NCCT
3. USG
4. X-ray skull

Correct answer: 2. NCCT

Explanation: Ans. B: NCCT Radiological signs in CNS: Bracket calcification: Corpus callosum lipoma (skull) Basal ganglia calcification: Hypoparathyroidism Suprasellar calcification: - Craniopharyngioma - Meningioma Rail road/ Tram track calcification: Sturge Weber syndrome Periventricular calcification: CMV infections Separation of sutures: Sign of raised intracranial tension in a child